Drug which should be avoided in angle closure glaucoma is:
1. Acetazolamide
2. Atropine
3. Timolol
4. Mannitol

Correct answer: 2. Atropine

Explanation: Ans. B: Atropine Anticholinergic drugs (atropine 1%, homatropine2%) dilates the pupil In a patient above 60 years of age having hypermetropia and a shallow anterior chamber, mydriasis may precipitate acute angle closure glaucoma